True about strychnine poisoning is :
1. All muscles affected at the same time
2. Shoulder girdle affected first
3. Pelvic girdle affected first
4. None of the above

Correct answer: 1. All muscles affected at the same time

Explanation: A i.e. All muscles affected at same time